Virchow's triad includes all except ?
1. Injury to vein
2. Venous thrombosis
3. Venous stasis
4. Hypercoagulability of blood

Correct answer: 2. Venous thrombosis

Explanation: Venous thrombosis Virchow's triad describes three factors that lead to thrombosis i) Vascular (endothelial) injury ii) Abnormal blood flow (stasis) iii) Blood hypercoagulability Endothelial injury Endothelial cell injury exposes highly thrombogenic subendothelial extracellular matrix which allows platelet to adhere to the collagen of ECM. This effect is due to increased production of Von willebrand factor by endothelium, an essential cofactor for platelet binding to collagen. Disturbance in blood flow Normal blood flow is laminar such that the platelets flow centrally in the vessel endothelium by a slower moving clear zone of plasma. Stasis and turbulence leads to thrombosis because :? Disruption of laminar flow brings platelet into contact with endothelium Prevent dilution of activated clotting factors by fresh flowing blood Retard the inflow of clotting factor inhibitors Turbulence can cause endothelial injury or dysfunction.